Radiological sign of ischemic colitis is
1. Popcorn appearance
2. Thumb print apperance
3. Cobrahead app
4. Inverted 3 sign

Correct answer: 2. Thumb print apperance

Explanation: B i.e. Thumb printing